What do you mean by Wolf's Graft?
1. Full thickness skin graft
2. Partial thickness skin graft
3. Rotational flap
4. Vascularized fibular graft

Correct answer: 1. Full thickness skin graft

Explanation: Ans. (a) Full thickness skin graftRef: Bailey 26th edition, Page 404* Wolfe graft: Full thickness skin graft.* Thiersch graft: Split thickness skin graft.